Which ulcer is likely to develop in a long standing chronic venous ulcer?
1. Marjolin ulcer
2. Apthous ulcer
3. Bazin ulcer
4. Arterial ulcer

Correct answer: 1. Marjolin ulcer

Explanation: - Marjolin's ulcer: Arises from long standing ulcer or burn scar Is a low-grade squamous cell carcinoma Destruction of - Nerves - painless - Vessels - slow growth, radio resistant, no distant metastasis - Lymphatics - no lymph node metastasis - Diagnosis by biopsy - Treated by wide local excision with flap closure